Which of the following is true about parathyroid?
1. Upper parathyroid glands are superior to junction of inferior thyroid artery and RLN
2. Most common location of ectopic parathyroid glands is paraesophageal
3. Lower parathyroid is anterior to RLN
4. All of the above

Correct answer: 4. All of the above

Explanation: IDENTIFICATION OF PARATHYROIDS Approximately 85% of the parathyroid glands are found within 1 cm of the junction of the inferior thyroid artery and RLNs. Upper parathyroid glands Superior to junction of inferior thyroid artery and RLNs Dorsal (posterior)to RLN Lower parathyroid glands Inferior to junction of inferior thyroid artery and RLNs Ventral (anterior) to RLN The thin fascia overlying a "suspicious" fat lobule should be incised using a sharp curved hemostat and scalpel. This maneuver often causes the parathyroid gland to "pop" out. MC location of ectopic parathyroid gland: Paraesophageal > Mediastinal >Intrathymic